A patient of post-cholecystectomy biliary stricture has undergone an ERCP three days ago. Following this she has developed acute cholangitis. The most likely organism is-
1. Escherichia coli
2. Bacillus fragilis
3. Streptococcus viridians
4. Pseudomonas aeruginosa

Correct answer: 1. Escherichia coli